Which one of the following test detects Fetal skin cells?
1. Shake test
2. Nile blue sulphate test
3. Litmus test
4. All of the above

Correct answer: 2. Nile blue sulphate test

Explanation: Nile blue sulphate test